Which cereal is not to be given in celiac sprue?
1. Wheat
2. Maize
3. Corn
4. Rice

Correct answer: 1. Wheat

Explanation: Ans. (a) WheatRef.: Harrison 19th ed. /1940* Coeliac disease is caused by a reaction to gliadin found in wheat, oats, rye and Barley. Upon exposure to gliadin, there is production of anti-tissue transglutaminase antibody which cross-reacts with small-bowel tissue, causing an inflammatory reaction.* This leads to villous atrophy and leads to osmotic diarrhea.